Phospholipid is -
1. Leukotrienes
2. Lecithin
3. Cerebroside
4. Ganglioside

Correct answer: 2. Lecithin

Explanation: Ans. is 'b' i.e., Lecithine o Phospholipids are:i) Glycerophospholipids (glycerol containing) Phosphatidylcholine ilecithin), phosphatidylethanolamine (cephaline), phosphatidylserine, phosphatidyl inositol, plasmalogens, lysophospholipids, cardiolipin.ii) Sphingophospholipids (sphingosine containing) Sphingomyeline